Frenkel's exercise is done in case of-
1. MND
2. Myopathy
3. Syringomyelia
4. Tabes dorsalis

Correct answer: 4. Tabes dorsalis